Korsakoff's syndrome is due to deficiency of -
1. Thiamine
2. Niacin
3. Folate
4. Pyridoxin

Correct answer: 1. Thiamine

Explanation: Ans. is 'a' i.e., Thiamine o Wernicke - Korsakoff syndrome or wemicke-Korsakoff psychosis is the name given for the amnestic disorders which include Wernicke's encephalopathy (a set of acute symptom) and Korsakoff syndrome (a chronic condition).o These two syndrome occur due to deficiency of thiamine.o Most common cause precipitating thiamine deficiency (causing wernicke-Korsakoff syndrome) is chronic alcoholism.o Other precipitating causes are prolonged starvation causing malnutrition, hyperemesis gravidarum, HIV-AIDS, bariatric surgery, prolonged intravenous hyperalimentation, hemodialysis for CRF, and malignancies (gastric carcinoma).